Councilman bodies are characteristically seen in
1. Acute viral hepatitis
2. Chronic viral hepatitis
3. Autoimmune hepatitis
4. Alcoholic hepatitis

Correct answer: 1. Acute viral hepatitis

Explanation: Councilman bodies are apoptotic bodies characteristic of acute viral hepatitis.